Margnan's syndrome also called cocaine bugs is seen in?
1. Cannabis overdose
2. Datura poisoning
3. Cocaine poisoning
4. Opium poisoning

Correct answer: 3. Cocaine poisoning

Explanation: This syndrome is seen in cocaine  poisoning. It is a tactile hallucination person feels as if insects are creeping under the skin.